Following is a cause of secondary angle closure glaucoma ?
1. Pseudophakia
2. Corticosteroid induced
3. Angle recession glaucoma
4. Congenital glaucoma

Correct answer: 1. Pseudophakia

Explanation: Ans. is 'a' i.e., Pseudophakia Causes of secondary angle closure glaucoma Pupillary block: uveitis, psudophakia Angle fibrosis: neovascular glaucoma